In Wolf Parkinson white syndrome all are true except
1. Digoxin is contraindicated
2. Short PR interval
3. RBBB pattern seen in type B WPW syndrome
4. Broad QRS complex

Correct answer: 3. RBBB pattern seen in type B WPW syndrome

Explanation: WPW type - A: left sided accessory  pathway → RBBB pattern 
WPW type - B: right sided accessory pathway → LBBB pattern